Which of the following is a stain for heart failure cells?
1. PAS
2. Prussian blue
3. Sudan black
4. Oil red

Correct answer: 2. Prussian blue

Explanation: Prussian blue is the stain for heart failure cells. The red cells in the congested alveoli undergo hemolysis and release the heme which is converted to hemosiderin. This is seen as brown granules in H&E stained sections and blue in Pearl's stain (Prussian blue reaction). The hemosiderin granules are present free in the alveolar wall and inside the alveolar macrophages within the alveolar lumens. These clusters of hemosiderin laden phagocytic cells are known as the heart failure cells. Ref: Textbook of Pathology By Datta, 2004, Page 121